Bacillus used to test efficacy of Sterilisation by Autoclave is?
1. Bacillus subtilis.
2. Bacillus pumilis.
3. Bacillus stearothermophilus
4. Coxiella burnetti.

Correct answer: 3. Bacillus stearothermophilus

Explanation: ANSWER: (C) Bacillus stearothermophilusREF: Basic medical laboratory techniques 4th edition by Barbara H. Estridge, Anna P. Reynolds,Norma J. Walters Page 70Various bacilli are used to check efficacy of sterilisation methods are:Autoclave- Bacillus stearothermophilusHot air oven- Bacillus subtilis subspecies nigerIonising radiation- Bacillus pumilis